Treatment of choice for recurrent thyrotoxicosis after surgery is:-
1. Further surgery
2. Radioiodine followed by surgery
3. Radioiodine
4. Observation & follow-up

Correct answer: 3. Radioiodine

Explanation: In toxic goiter, the thyroid gland will be hyperactive and hence shows increased radioactive Iodine uptake 2 types of treatment option available for these patients Surgery Radioactive Iodine ablation Surgery is the preferred option But if surgery is C/I or even after surgery there is recurrence - then Radioactive iodine ablation is preferred.